Thoracic Sympathetic Chain is situated :
1. In front of posterior mediastinum
2. Passes superficial to medial arcuate ligament
3. Near heads of 2nd to 10th rib
4. In front of vertebral column

Correct answer: 3. Near heads of 2nd to 10th rib

Explanation: C. i.e. Near heads of 2nd to 10th rib Thoracic sympathetic trunk is a ganglionated chain situated on each side of thoracic vertebraQ and crosses the neck of 1st rib, heads of 2" to 10th ribs and bodies of 11th & 12th rib.Q The whole chain descends in front of posterior intercostal vessels & intercostal nervesQ, and passes deep to medial arcuate ligament.Q